Tripod fracture is seen in-
1. Mandible
2. Maxilla
3. Nasal bone
4. Zygoma

Correct answer: 4. Zygoma

Explanation: Clinical Featuers of Zygoma Fracture: (also k/a Tripod Fracture) 

Flattening of malar prominence
Swelling of cheeks
Ecchymosis of lower eyelids
 Unilateral epistaxis
Numbness over infraorbital part of face
Diplopia and restricted ocular movements
Trismus due to depression of zygoma on underlying coronoid process 
Periorbital emphysema due to escape of air from the maxillary sinus on nose blowing 
Step deformity of infraorbital margin. 

NOTE:

After nasal bones, zygoma is the second most frequently fractured bone
The fracture and displacement can best be viewed by water’s view
T/t – only displaced fractures require open reduction and internal wire fixation.